All of the following are topically used sulfonamides EXCEPT:
1. Sulfacetamide
2. Sulfasalazine
3. Silver sulfadiazine
4. Mafenide

Correct answer: 2. Sulfasalazine

Explanation: SULFONAMIDES: 1 . Short acting ( 4-8 hr ): Sulfadiazine 2. Intermediate acting (8-12 hr ): Sulfamethm,azole 3. Long acting ( -7 days): Sulfadoxine, Sulfamethopyrazine 4. Special purpose sulfonamides: Sulfacetamide sod, Mafenide, Silver sulfadiazine, Sulfasalazine. Sulfasalazine (Salicylazosulfapyridine) It is a compound of 5-aminosalicylic acid (5-ASA) with sulfapyridine linked through an azo bond that has a specific therapeutic effect in inflammatory bowel diseases (IBDs) like ulcerative colitis and Crohn's disease.They are both locally and systemically acting agents. ESSENTIALS OF MEDICAL PHARMACOLOGY K.D.TRIPATHI SIXTH EDITION PAGE NO:661